Lyme disease is caused by:
1. Borrelia vincenti
2. Borrelia Burgdorferi
3. Borrelia Recurrentis
4. Treponema Pertenue

Correct answer: 2. Borrelia Burgdorferi

Explanation: Ans. (b) Borrelia BurgdorferiRef.: Microbiology by Ananthanarayan and Paniker 8th ed. /377, 379, 381* Causal agent of lyme disease: Borrelia Burgdorferi (I.P. 3 to 30 days)# Vector: Ticks* Lyme disease occurs in 3 stages:# Stage 1: localized infection, appears an annular skin lesion (Erythema Migrans)# Stage 2: disseminated infection, now with headache, fever, arthralgia, myalgia and lymphadenopathy.# Stage 3: persistent infection, presents with chronic arthritis, encephalopathy, and acrodermatitis.Also Know* Borrelia vincenti: ulcerative gingivostomatitis or oropharyngitis (Vincents Angina)* Borrelia Recurrentis: louse borne relapsing I fever* Treponema carateum: causes Pinta* Treponema Pertenue: causes Yaws* Treponema Pallidum: Syphilis